Stemmer's sign and buffalo hump'are features of
1. Lymphoedema
2. Cushings disease
3. Hypothyroidism
4. Carcinoid tumour

Correct answer: 1. Lymphoedema

Explanation: Lymphoedema characteristically involves the foot.The contour of the ankle is lost through infilling of the submalleolar depressions, A 'buffalo hump' forms on the dorsum of the foot,The toes appear 'square' because of confinement of footwear and The skin on the dorsum of the toes cannot be pinched because of subcutaneous fibrosis (Stemmer's sign).Ref: Bailey and love 27e pg: 998